Which of the following is not a steroid ?
1. 17α Hydroxyprogesterone
2. Estrone
3. Pregnenolone
4. Relaxin

Correct answer: 4. Relaxin